Calabar swelling is produced by-
1. Onchocerca volvulus
2. Loa loa
3. Brugia malayi
4. Wuchereria bancrofti

Correct answer: 2. Loa loa

Explanation: Calabar Swelling: Localized angioedema and erythema usually on the extremities, characterized by fugitive, swollen lumps of subcutaneous tissue caused by a parasitic filarial worm (Loa loa) endemic to Central and West Africa.
The swollen areas migrate with the worm through the body at a speed of about 1 cm per minute and may become as large as a small egg.